Which of the following is true about oath :
1. Not compulsory
2. Compulsary and binds witness for evidence given
3. holds witness responsible for consequence of evidence
4. Witness is liable for prosecution if he does not take oath

Correct answer: 2. Compulsary and binds witness for evidence given

Explanation: B i.e. Compulsory & binds witness for evidence given